Patients with sickle cell anaemia can have infection with all except
1. H. streptococcus pneumonia
2. H. influenza -B
3. Myco tuberculosis
4. All of the above

Correct answer: 3. Myco tuberculosis

Explanation: sickle cell anemia increase chance of infection by H.influenzas,S.pneumoniae, salmonella, M.pneumoniae, S.aureus,E.choli. Myco Tuberculosis is not associated with sickle cell anemia . Reference: GHAI Essential pediatrics, 8th edition